Suicide is most commonly associated with which of the following disorders ?
1. Anxiety
2. Depression
3. Obsessive-compulsive disorder
4. Post-traumatic Stress disorder

Correct answer: 2. Depression